"NO" is synthesized from
1. Tryptophan
2. L - citrulline
3. Lysine
4. L - arginine

Correct answer: 4. L - arginine

Explanation: NO (nitric oxide):- Also called asEndothelium derived Relaxing Factor synthesized fromArginineby enzymeNOS(Nitric oxide synthase) in the endothelial cells Nitric oxide relaxes the smooth muscles of blood vessels The vasodilator - nitroglycerin also enters smooth muscle cells, where its metabolism also leads to the formation of NO. Activates enzymeGuanyl cyclase, which converts GTP to cyclic GMP, which causes relaxation of smooth muscle cells